Which of the following describes the Westermark sign in Pulmonary Thromboembolism?
1. Peripheral Wedge shaped infarct
2. Pulmonary Oligemia
3. Prominence of Main Pulmonary Aery
4. Prominence of Descending Rt Pulmonary aery

Correct answer: 2. Pulmonary Oligemia

Explanation: Sign in Pulmonary Thromboembolism: * Fleischner sign: enlarged pulmonary aery * Hampton hump:peripheral wedge of airspace opacity and implies lung infarction * Westermark sign:regional oligemia and highest positive predictive value. * Palla sign: enlarged right descending pulmonary aery * Chang sign: dilated right descending pulmonary aery with sudden cut-of